AML - bad prognostic factor is?
1. Preceding MDS
2. Inv 16
3. Auer rods
4. Type M4

Correct answer: 1. Preceding MDS

Explanation: Ans. is 'a' i.e., Preceding MDS Prognostic factors in AMLo Age < 40 yearso Age < 2 years or > 55 yearso M2, M3, M4 forms of AMLo MO, M6, M7 forms of AMLo Blast cell with Auer rodso Complex karyotypeso TLC<25 x 109/LoTLC> 100 x 109/Lo t(15; 17), t (8;21), invl6o Deletions 5q, 7q (Monosomy 5 or 7)o Leukemia without preceeding MDSo AML with preceding MDS or anticancer drug exposure